What is the graphical record of cervical dilatation in centimeters against duration of labour in hours called ?
1. Partogram
2. Pictogram
3. Hysterograph
4. Amniograph

Correct answer: 1. Partogram

Explanation: Partogram